Reactive arthritis is caused by:
1. Staphylococcus
2. H. influenzae
3. N. gonorrhoe
4. C. trachomatis

Correct answer: 4. C. trachomatis

Explanation: Ans. (d) C. trachomatis Ref CMDT 2014, p 825 Reactive arthritis (formerly called Reiter syndrome) is the clinical tetrad of uretheritis, conjunctivitis (or uveitis), mucocutaneous lesions and aseptic arthritis. Most cases develop within days weeks after either a dysenteric infection or urogential infection. GI Urogenital Shigella Chlamydia trachomatus Salmonella Ureoplasma urealyticum Yersina Compylobacter Associated infection: Arthritis is most commonly assymetric, and frequently involves the large joints (most commonly ankle and knee); Sacroiliatis and ankylosing spondylitis is observed in atleast 20% of patients; especially after frequent recurrences.